True about Glomus juglare are all of the statements, EXCEPT:
1. Rising sun sign is seen
2. Involves 9th and 10th cranial nerve
3. Pulsatile tinnitus is seen
4. Invades epitympanum

Correct answer: 4. Invades epitympanum

Explanation: Glomus jugulare arise from juglar bulb and extend upward with erosion into the hypotympanum. Glomus tumors: They arise either from the middle ear (glomus tympanicum) or arise from juglar bulb with upward erosion into the hypotympanum (glomus jugulare). Patients clinically presents with pulsatile tinnitus and hearing loss. On examination a vascular mass is visible behind an intact tympanic membrane Rising sun sign is seen when the tumor arise from floor of middle ear cavity. Pulsation sign (Browns sign) is positive i.e when ear canal pressure is raised using Siegel's speculum tumor pulsates vigorously and then blanches, reverse happens with release of pressure. Large glomus jugulare tumors are associated with multiple cranial neuropathies, especially involving nerves VII, IX, X, XI, and XII. Treatment modalities includes surgery, radiotherapy, or both.